Daily requirement of Iodine in adults is
1. 50 mcg
2. 100 mcg
3. 150 mcg
4. 200 mcg

Correct answer: 3. 150 mcg

Explanation: The daily requirement of iodine is 150 mcg supplied normally by well balanced diets and drinking water.